High voltage contact burn is:
1. Deep partial thickness
2. Full thickness
3. Superficial burn
4. All of the above

Correct answer: 2. Full thickness

Explanation: Ans. Full thickness